Mycotic abscess are due to
1. Bacterial infection
2. Viral infection
3. Fungal infection
4. Mixed infection

Correct answer: 3. Fungal infection